Absence of tear film is seen in
1. Conjunctivitis
2. Lacrimal gland removal
3. Herpes keratitis
4. Kerato conjunctivitis sicca

Correct answer: 4. Kerato conjunctivitis sicca

Explanation: Ans. is 'd' i.e. Keratoconjunctivitis sicca. Keratoconjunctivitis sicca: A condition in which there is deficiency of the aqueous tears.Causes are:Sjogren's syndromeCongenital alacrimaParalytic hyposecretionIdiopathic hyposecretionAbsence of tear film is not seen in lacrimal gland removal because :"It must be remembered that xerosis or dryness of the conjunctiva does not result from extirpation of the superior and inferior lacrimal glands, the moistening of the conjunctiva by Krause's glands and its own mucous cells being sufficient to prevent it."